Increasing number of services in rural areas is a part of –
1. Intersectoral coordination
2. Equitible distribution
3. Appropriate technology
4. None

Correct answer: 2. Equitible distribution

Explanation: The first key principle in the primary health care strategy is equity or equitable distribution of health services.
At present health services are mainly concentrated in the major towns and cities resulting in inequality of care to the people in rural areas.
Primary health care aims to redress this imbalance by shifting the centre of gravity of the health care system from cities to rural areas and bring these services as near people's homes as possible.